The most common cause of secondary hypertension in children is -
1. Renal artery stenosis
2. Renal disease
3. Systemic Vasculitis
4. Adrenal Tumours

Correct answer: 2. Renal disease

Explanation: Ans. is 'b' i.e., Renal disease